The usual location of glomus jugulare tumour is
1. Epitympanum
2. Hypotypanum
3. Mastoid tip cells
4. Internal auditory meatus

Correct answer: 2. Hypotypanum

Explanation: Glomus jugulare tumour arises from the dome of jugular bulb and invades hypotympanum and jugular foramen causing neurological signs of IX and XII cranial nerve involvement. Ref: Textbook of diseases of ENT, PL Dhingra, 7th edition, pg no. 121